The primary goal of Human Genome Project has been
1. Introduction of a gene sequence into a cell to modify its behavior
2. Identify genes and sequence of base pairs in dNA of human genome
3. Development of new diagnostic techniques such as restriction enzymes
4. Confirmation of Hardy Weinberg law

Correct answer: 2. Identify genes and sequence of base pairs in dNA of human genome

Explanation: Human Genome Project: HGPRT is an international scientific research project.
Primary goals were to determine the sequence of chemical base pairs which make up dNA and to identify the approximately 25,000 genes of the human genome.